High hepatic first-pass metabolism is seen in all EXCEPT
1. Insulin
2. Propranolol
3. Lignocaine
4. Nitroglycerin

Correct answer: 1. Insulin

Explanation: - Except for Insulin, all the three options undergo high first pass metabolism.
- Drugs showing high first pass metabolism

   Isoprenaline
   Lidocaine
   Hydrocortisone
   Testosterone
   Propranolol
   Verapamil
   Salbutamol
   Morphine
   Pethidine